Colonic Divericulosis and diverticulitis is maximally seen in
1. Sigmoid colon
2. Rectum
3. Transverse colon
4. Ascending colon

Correct answer: 1. Sigmoid colon

Explanation: Answer- A. Sigmoid colonThe sigmoid colon is the segment of large bowel with the highest incidence of diverticula, and it is by far the most frequent site for involvement with Diverticulitis.